Drug given for metaclopramidr induced dystonic reaction is:
1. Pheniramine
2. Promethazine
3. Chlorpropamide
4. Prochlorperazine

Correct answer: 2. Promethazine

Explanation: Acute muscle dystonia caused by antiemetic-antipsycotic drugs is promptly relieved by parentral promethazine or hydroxyzine.this is based on central anti cholinergic action of the drugs. Promethazine is an first generation anti histaminic which has maximum anticholinergic activity.(ref: KDT 6/ep157)